Volcano ulcers in esophagus are seen in -
1. Herpetic esophagitis
2. Candida esophagitis
3. Apthous ulcer in crohn
4. HIV esophagitis

Correct answer: 1. Herpetic esophagitis

Explanation: Ans. is 'a' i.e., Herpetic esophagitis o The ulcers of herpes esophagitis can have a punctate, linear, stellate, or volcano-like appearance, often with a thin halo of edema at the margins. The ulcers may be clustered together or widely separated with normal intervening mucosa.o The most common cause of infectious esophagitis is Candida esophagitis.Valcano ulcers in esophagus are seen in Herpes simplex Esophagitiso The endoscopic appearance of early HSV esophagitis is bullae (which are rarely seen) or discrete ulcers with a yellow rim of exudate or ulcer base, the so called volcano ulcers.